Benign hyperplasia (excessive growth of cells) of which part of the male reproductive system would be most likely to interfere with the passage of urine?
1. Periurethral Zone of the Prostate
2. Central Zone of the Prostate
3. Peripheral Zone of the Prostate
4. Ejaculatory Duct

Correct answer: 1. Periurethral Zone of the Prostate

Explanation: Remember that the prostatic urethra travels through the prostate gland. So, if the periurethral zone of the prostate hypertrophied, the nearby prostatic urethra would be occluded. The central and peripheral zones of the prostate are not as close to the urethra. If they enlarged, they would not restrict the flow of urine quite as much. The ejaculatory duct is the duct formed once the ductus deferens joins with the duct of the seminal vesicle. It passes through the prostate gland, but its enlargement would have no effect on the prostate or the urethra. Ref: La Rochelle J., Shuch B., Belldegrun A. (2010). Chapter 40. Urology. In F.C. Brunicardi, D.K. Andersen, T.R. Billiar, D.L. Dunn, J.G. Hunter, J.B. Matthews, R.E. Pollock (Eds), Schwartz's Principles of Surgery, 9e.